Degree of freedom for 2/2 contingency table is?
1. 1
2. Zero
3. 2
4. 4

Correct answer: 1. 1

Explanation: Ref: Parks 23rd edition Degree of freedom = (r-1)(c-1) =(2-1)(2-1)= 1